Pacemaker regulating the rate of respiration ?
1. Pneumotaxic centre
2. Dorsal group of nucleus
3. Apneustic centre
4. Pre-Botzinger Complex

Correct answer: 4. Pre-Botzinger Complex

Explanation: Ans. is 'd' i.e., Pre-Botzinger Complex "The main components of the respiratory control pattern generator responsible for automatic respiration are located in the medulla. Rhythmic respiration is initiated by a small group of synaptically coupled pacemaker cells in the pre-Botzinger complex on either side of the medulla between the nucleus ambiguus and the lateral reticular nucleus".